Between 3 to 4months of age, Infant weight increases approximately around
1. 20 g/d
2. 40 g/d
3. 50 g/d
4. 60 g/d

Correct answer: 1. 20 g/d

Explanation: Between 3 and 4 months of age, the rate of growth slows to approximately 20 g/day.By age 4 months, birth weight is doubled.(Refer: Nelson; Chapter 10; pg no. 69)